Which tendon gets involved in Colle's fracture?
1. Abductor pollicis longus
2. Extensor pollicis brevis
3. Extensor pollicis longus
4. All the above

Correct answer: 3. Extensor pollicis longus

Explanation: Rupture of extensor pollicis longus tendon occasionally occurs a few weeks after a fracture.
It is an attritional tear and rupture is preceded by fraying of the tendon over a length of 1 - 2 cm.
EFL tendon is more liable to give way than other tendons because it takes a sharp bend laterally as it leaves its, groove on the back of lower end of the radius. It, therefore, bears heavily against the bone as it glides to and fro with the movement of the thumb, and this is the usual site of rupture.